Disturbance during the morphodifferentiation
stage of tooth development will result in
1. Change in number of teeth
2. Ameloblastoma
3. Change in form and shape of the teeth/ Peg teeth
4. Hypoplasia

Correct answer: 3. Change in form and shape of the teeth/ Peg teeth

Explanation: Disturbances in morphodifferentiation results in supernumerary roots or cusps, twinning, suppression of parts like cusp or root. Hutchinson's incisor is due to disturbance in morphodifferentiation.